All are causes of pulmonary hypertension except
1. Hyperventilation
2. Morbid obesity
3. High altitude
4. Fenfluramine

Correct answer: 1. Hyperventilation

Explanation: Category 1. Pulmonary arterial hypertension (PAH) Key feature: elevation in pulmonary arterial pressure (PAP) with normal pulmonary capillary wedge pressure (pcwp) Includes: Idiopathic (IPAH) * Sporadic * Familial * Exposure to drugs or toxins * Persistent pulmonary hypertension of the newborn * Pulmonary capillary hemangiomatosis (PCH) Associated with other active conditions * Collagen vascular disease * Congenital systemic-to-pulmonary shunts * Portal hypertension * HIV infection Category 2. Pulmonary venous hypertension Key feature: elevation in PAP with elevation in pcwp Includes: * Left-sided atrial or ventricular heart disease * Left-sided valvular heart disease * Pulmonary venous obstruction * Pulmonary venoocclusive disease (PVOD) Category 3. Pulmonary hypertension associated with hypoxemic lung disease Key feature: chronic hypoxia with mild elevation of PAP Includes: * Chronic obstructive lung disease * Interstitial lung disease * Sleep-disordered breathing * Alveolar hypoventilation disorders * Chronic exposure to high altitude * Developmental abnormalities Category 4. Pulmonary hypertension due to chronic thromboembolic disease Key feature: elevation of PA pressure with documentation of pulmonary arterial obstruction for >3 monthsIncludes: * Chronic pulmonary thromboembolism * Nonthrombotic pulmonary embolism (tumor, foreign material) Category 5. Miscellaneous Key feature: elevation in PAP in association with a systemic diseasewhere a causal relationship is not clearly understood. Includes: * Sarcoidosis * Chronic anemias * Histiocytosis X * Lymphangiomatosis * Schistosomiasis ref:Harrison's principles of internal medicine,ed 18,pg no2078